Digoxin is contraindicated in?
1. Small VSD with heart failure
2. Viral myocarditis with heart failure
3. Atrial fibrillation with heart failure
4. Small ASD with heart failure

Correct answer: 2. Viral myocarditis with heart failure

Explanation: Digoxin C/I in HOCM Adult Patient with HFrEF Viral Myocarditis Option C: A. fibrillation rate control= Esmolol A.Fibrillation +BP<80= Digoxin A.Fibrillation + Acute CHF= Digoxin